Most common site of disc prolapse in lumbar spine is
1. L2-3
2. L3-4
3. L4-5
4. L5-S1

Correct answer: 3. L4-5

Explanation: Ans. is 'c' i.e., L4-5 Prolapsed intervertebral disc:* Herniation of intervertebral disc is a common cause of combined back pain and sciatica (Pain in back with radiation to lower limb). Prolapsed intervertebral disc is often precipitated by injury, but it may also occur in the absence of any remembered injury.* The site of exit of the nucleus is usually posterolateralon one or the other side.Occasionally, it can be central (posterior-midline)disc prolapse.* The type of nuclear protrusion maybe: a protrusion, an extrusion or a sequestration.* A dissecting extrusion, (an extrusion with discmaterial between the body of the vertebra andposterior longitudinal ligament, stripping the latteroff the body), may occur.* The commonest level of discprolapse is between L4-L5 in the lumbar spine and C5-C6 in the cervical spine.